Most common caries seen in primary 1st molar
1. Occlusal pitas and fissures
2. Proximal surface below contact point
3. Proximal surface above contact point
4. Buccal surface below height of contour

Correct answer: 2. Proximal surface below contact point